Which does not cause relaxation of urinary bladder ?
1. Sympathetic Stimulation
2. Muscarinic receptors
3. Beta receptors
4. None of the above

Correct answer: 2. Muscarinic receptors

Explanation: Ans. is'b'i.e., Muscarinic receptorsSympathetic stimulation causes relaxation of bladder (detrusor muscle) beta-2 adrenoreceptors.Parasympathetic stimulation cause contraction of bladder (detrusor muscle) muscarinic M3 receptors.